In multiple myeloma following are seen except:
1. Anion gap raised
2. Lytic bone lesion
3. Polyarticular pain
4. M spike present with polyarticulopathy

Correct answer: 1. Anion gap raised

Explanation: Answer is A (Anion Gap Raised) Multiple Myeloma is associaitd with decreased Anion Gap. Hypoalbuminemia Multiple Myeloma and other paraproteinemic states like Waldenstorm's macroglobulinemia Lithium intoxication / Bromide intoxication Decreased Anion Gap is rare / uncommon and occurs due to accumulation of positively charged unmeasured cations which lower the anion gap This is important as it may mask a significant anion gap acidosis.